Which of the following sterilizing agent used is sporicidal, antibacterial, antifungal and virucidal
1. Phenol
2. Alcohol
3. Halogens
4. Glutaraldehyde

Correct answer: 4. Glutaraldehyde

Explanation: (Glutar aldehyde): (35- Baveja 4th edition)GLUTARALDEHYDE - effective against bacteria (including M. tuberculosis), fungi and viruses (including HIV, Hepatitis B and entero viruses) It also Kills spores* Rapid, broad spectrum, high level disinfectant* Used as 2% buffered solution* Available commercially as 'Cidex'* Used for delicate instruments having lenses